Post operatively wound dehiscence occurs between
1. 1-2 days
2. 3-5 days
3. 5-8 days
4. 8-12 days

Correct answer: 3. 5-8 days

Explanation: Wound dehiscence is disruption of any or all of the layers in a wound. Wound dehiscence most commonly occurs from the fifth to the eighth postoperative day when the strength of the wound is at its weakest.Risk factors in wound dehiscenceGeneralLocal MalnourishmentDiabetesObesityRenal failureJaundiceSepsisCancerTreatment with steroidsInadequate or poor closure of woundPoor local wound healing, e.g. because of infection, haematoma or seromaIncreased intra-abdominal pressure, e.g. in postoperative patients suffering from chronic obstructive airway disease, during excessive coughingRef: Bailey and love 27e pg: 297